A toddler has few drops of blood coming out of rectum. Probable diagnosis is:
1. Rectal ulcer
2. Adenomatous polyposis coli
3. Juvenile rectal polyp
4. Piles

Correct answer: 3. Juvenile rectal polyp

Explanation: RECTAL POLYPS Occur most commonly in children < 5 years of age. Occur as a single lesion of the rectum. Typical symptoms are rectal bleeding, mucus discharge, diarrhea, and abdominal pain. Can cause bleeding, or pain if it prolapses during defaecation